Delusion of doubles is found in -
1. Schizo affective disorder
2. Capgras syndrome
3. Reactive psychosis
4. Paranoid schizophrenia

Correct answer: 2. Capgras syndrome

Explanation: Capgras syndrome is delusional disorder, where a person believes that his family member has been kidnapped and replaced by a stranger.